Suicidal enzyme is:
1. Lipoxygenase
2. Cycloxygenase
3. Thromboxane synthase
4. 5'Nucleotidase

Correct answer: 2. Cycloxygenase

Explanation: Ans. B. CycloxygenaseCyclooxygenase is a "Suicide Enzyme" "Switching off" of prostaglandin activity is partly achieved by are markable property of cyclooxygenase -- that of self-catalyzed destruction; i.e., it is a "suicide enzyme." Quickreview-CyclooxygenaseCyclooxygenase (COX) (also called prostaglandin H synthase)Involved in Prostanoid (Prostaglandin Thromboxane and Prostacyclin) synthesisThis enzyme has two activities, acyclo oxygenase and peroxidase.COX is present as two isoenzymes, COX-1 and COX-2.Drugs acting as inhibitors COXNSAID-Aspirin-inhibits COX-1 and COX-2.-Indomethacin and ibuprofen-inhibit cyclooxygenases by competing with arachidonate.-Coxibs--selectively inhibit COX-2-Some coxibs have been withdrawn or suspended from the market due to undesirable side effects and safety issues.Anti-inflammatory Corticosteroids-Transcription of COX-2-- but not of COX-1-- is completely inhibited by corticosteroids.